Stage of neurocysticercosis in which a cyst is visible with scolex and with minimal edema is
1. Vesicular
2. Colloidal
3. Granular
4. Calcific nodular

Correct answer: 1. Vesicular

Explanation: According to Escobar staging, stage of neurocysticercosis in which a cyst is visible with scolex and with minimal perilesional edema is Vesicular. In Colloidal stage, the cyst starts to disintegrate, with maximum edema. In Granular stage, it becomes thicker and the edema subsides. In the Calcific nodular stage, it becomes densely calcified with no edema.